An example of chronic myeloproliferative disorder is -
1. Neutrophilic leukaemoid reaction
2. Essential thrombocythaemia
3. Plasmacytosis
4. Hairy cell leukaemia

Correct answer: 2. Essential thrombocythaemia